Which of the following is an example for endogenous eczema
1. Photodermatitis
2. Contact dermatitis
3. Atopic dermatitis
4. Infective eczema

Correct answer: 3. Atopic dermatitis

Explanation: Endogenous eczemas: Asteatotic eczema Atopic eczema Chronic superficial scaly dermatitis Eyelid eczema Hand eczema Juvenile plantar dermatosis Nummular dermatitis Pityriasis alba Metabolic eczema or eczema associated with systemic disease Seborrhoeic eczema Venous eczema Pompholyx Exogeneous: Contact Dermatitis- Allergic, Irritint Photodermatitis Infective dermatitis Ref: Harrison 20th edit pg 1234